The structure that passes between middle cerebellar peduncle and pons is
1. Trigeminal nerve
2. Vagus nerve
3. Olfactory nerve
4. Optic nerve

Correct answer: 1. Trigeminal nerve

Explanation: Trigeminal nerve exits the brain by a large sensory root and a smaller motor root coming out of the pons at its junction with the middle cerebellar peduncle.(Ref: Vishram Singh textbook of clinical neuroanatomy second edition pg-81, fig 8.9)